All  of the following  are spore forming  bacteria except:
1. Clostridium  botulinum
2. Bacillus  subtilis
3. Bacillus anthracis
4. Pseudomonas aeruginosa

Correct answer: 4. Pseudomonas aeruginosa

Explanation: SPORE PRODUCING BACTERIA
• B. anthrax and subtilis
• Sporosarcina
• Clostridia
• Coxiella burnetti
Mnemonic = BSc Chemistry